True statement about p53 are all except
1. It regulates certain genes involved in cell cycle
2. Its increased levels can induce apoptosis
3. Its activity in cells decrease following UV radiation & stimulates cell cycle
4. Mutations in p53 are the MC genetic alterations seen in human cancer

Correct answer: 3. Its activity in cells decrease following UV radiation & stimulates cell cycle

Explanation: TP53 Transcription factor; Has properties of both an oncogene and a tumour suppressor gene Small arm of Chr 17 (17p13.1) Protein product: p53 "Guardian of the genome"; "molecular policeman"; critical gatekeeper Li Fraumeni syndrome - Hereditary loss an allele Ca lung, colon, breast LOF mutation of TP53 - MC mutation in >50% cancers